True about Cholera -a) Food can transmit cholerab) Vaccination gives 90% efficiencyc) Healthy carrier can transmit cholerad) Chlorination is not effective
1. ac
2. bc
3. ad
4. b

Correct answer: 1. ac

Explanation: Cholera is transmitted by contaminated water & food, direct contact through finger from carriers
About Other Options:

Option b: Vaccination gives protection rate of 50–60% ………………. Ananthanarayan 9/e p311
Option d: Chlorination is effective. ‘In rural area, water can be made safe from cholera bacilli by boiling or chlorination’